Most important investigation for diagnosis of Zollinger Ellison syndrome is:
1. Ca2+ infusion test
2. Secretin injection test
3. ACTH stimulation test
4. Steroid assay

Correct answer: 2. Secretin injection test

Explanation: Ans. B i.e. Secretin injection test Gastrinoma/ ZES MC site: Duodenum Non beta cell tumour, Neuro-endocrine tumour/ NET secreting: Gastrin Most important investigation: Secretin injection test DOC for ZES: Proton pump inhibitors Hepatic metastasis occurs (33%)